Concentration of sodium in mOsm/l in low osmolar ORS is?
1. 45
2. 75
3. 90
4. 60

Correct answer: 2. 75

Explanation: Concentration of sodium in low osmolar ORS is 75 mOsm/l Osmolarity reduced to avoid possible adverse effects of hypertonicity on net fluid absorption by reducing the concentration of glucose and sodium chloride in the solution . Ref: PARK'S TEXTBOOK OF PREVENTIVE AND SOCIAL MEDICINE 23rd edition pg 224